Neisserial infection are associated with:
1. Deficiency of early complements
2. Deficiency of late complements
3. There is not such association
4. Any deficiency can be associated

Correct answer: 2. Deficiency of late complements

Explanation: Option 1 C1-C4 (early complements) deficiencies - SLE, glomerulonephritis ,pyogenic infections Option 2 Deficiency of C5- C9 (Membrane attack complex)( late components) of the complement -- show increased susceptibility to meningococcal disease.